3-D's are associated with:
1. Rickets
2. Scurvy
3. Beri-Beri
4. Pellagra

Correct answer: 4. Pellagra

Explanation: Ans. D i.e. Pellagra Persons suffering from pellagra usually appear to be poorly nourished, and they are often weak and underweight. They also exhibit dermatitis, diarrhea, and dementia. If untreated, pellagra can result in death.